Incubation period is defined as -
1. Disease initiation to disease detection
2. From receipt of infection to maximum infectivity
3. From receipt of infection to appearance of clinical feature
4. From receipt of infection to earliest possible diagnosis

Correct answer: 3. From receipt of infection to appearance of clinical feature

Explanation: Ans. is 'c' i.e., From receipt of infection to appearance of clinicial feature * Incubation period is the time interval between invasion by an infectious agent and appearnace of the first sign and symptom. 'Median incubation period' is the time required for 50% cases to occur following exposure. Incubation period is useful for: (i) Tracing source of infection; (ii) Period of surveillance or quarantine; (iii) Immunization; (iv) Prognosis; and (v) Identification of point source epidemic. It has no relation with period of isolation.* Latent period is the period from disease initiation to disease detection.* Serial interval is the gap time between onset of primary and secondary case.* Generation time is the interval between receipt of infection by host and maximal infectivity of the host. Generation time is roughly equal to incubation period.* Communicable period is time during which an infectious agent can be transferred from infected person to others. It has no relation with incubation period.